The triad originally described by Zol linger Ellison syndrome is characterized by:
1. Peptic ulceration, gastric hypersecretion, non beta cell tumour
2. Peptic ulceration, gastric hypersecretion, beta cell tumour
3. Peptic ulceration, achlorhydria, non beta cell tumour
4. Peptic ulceration, achlorhydria, beta cell tumour

Correct answer: 1. Peptic ulceration, gastric hypersecretion, non beta cell tumour

Explanation: Answer is A (Peptic Ulceration, Gastric Hypersecretion, Non (3 Cell Tumour): Zollinger Ellison Syndrome is characterised by peptic ulceration due to gastrin hyper secretion by a non beta cell tumor. Remember: Most common site Q. of gastrinoma is Duodenum (50-70%), (Pancreas 20-40%) - Harrison Most common hormone to be secreted besides gastrin is - ACTH Q Most common site of peptic ulcers produced is Is' part of Duodenum. Most valuable provocative test in identifying patients with ZES is the Secretin injection tests. Basal acid output is greater than 60 % of out put induced by maximal stimulation i.e. BAO > MAOQ